Most common cause of renal artery stenosis above 50 years of age is?
1. Atherosclerosis
2. FMD
3. Takayasu arteritis
4. RCC

Correct answer: 1. Atherosclerosis

Explanation: Ans. (a) AtherosclerosisRef: Harrison 17/e, chapter 280, CMDT 2009, chapter 22, Brenner and rector's the kidney, 8/e, chapter 43